Which of the following is classes as a high risk pregnancy?
1. Elderly primi
2. History of eclampsia
3. Molar pregnancy
4. All the above

Correct answer: 4. All the above

Explanation: All the above choices are risk factors for pregnancy. Risk factors during pregnancy include maternal factors of age (younger than age 15, older than age 35); history of complications during previous pregnancies (including stillbirth, fetal loss, preterm labor and/or delivery, small-for-gestational age baby, large baby, molar pregnancy, pre-eclampsia or eclampsia); bleeding during the third trimester; hypertension; Rh incompatability; gestational diabetes; infections of the vagina and/or cervix; post-term pregnancy; pre-existing chronic illness.